How is cooling curve of the body postmortem?
1. Parabola
2. Hyperbola
3. Sigmoid
4. Linear

Correct answer: 3. Sigmoid

Explanation: Ans. is 'c' i.e., Sigmoid Body cooling postmortem follows the Newton's law of cooling.The rates of cooling at the ends of the curve are slower than the rates in the mid portion - resulting in Sigmoidal shape of the cooling curve